Basophilic staining of vascular walls due to encrustation by DNA from necrotic tumour cells is seen in which of the following variants of lung cancer?
1. Squamous cell variant
2. Adenocarcinoma variant
3. Small cell variant
4. Large cell variant

Correct answer: 3. Small cell variant

Explanation: Basophilic staining of vascular walls due to encrustation by DNA from necrotic tumor cells is given name as Azzopardi effect associated with small cell variant of lung cancer. It has neurosecretory granules which release DNA material from tumor cells resulting in Azzopardi effect.